Massive bleeding per rectum in a 70 yr old patient is due to
1. Diverticulosis
2. Carcinoma colon
3. Colitis
4. Polyps

Correct answer: 1. Diverticulosis

Explanation: Hemorrhage from a colonic diverticulum is the most common cause of hematochezia in patients > 60years old.Most bleeds are self-limited and stop spontaneously with bowel rest. The lifetime risk of rebleeding is 25%.Acute uncomplicated diverticulitis characteristically presents with fever, anorexia, left lower quadrant pain and obstipation.A complicated diverticular disease is defined as a diverticular disease associated with an abscess or perforation and less commonly with a fistula.Barium enema or colonoscopy should not be performed in acute setting because of the higher risk of colonic perforation associated with insufflation or insertion of barium-based contrast material under pressure. (Ref: Harrison's 18/e p2502)